Sideroblastic anemia is seen in chronic poisoning of-
1. Lead
2. Arsenic
3. Copper
4. Mercury

Correct answer: 1. Lead

Explanation: Sideroblastic anemia is of 2 types. 1. Hereditary Sideroblastic anemia 2.Acquired Sideroblastic anemia. Acquired is of primary and secondary. Secondary means Sideroblastic anaemia develops secondary to a variety of drugs,chemicals, toxins, hematological and various other diseases. In this lead toxicity causes Sideroblastic anemia. Reference :Harsh Mohan textbook of pathology, 7th edition.Pg no.277,278